All of the following statements about prenatal steroids are true except –
1. They cause 50% reduction in respiratory distress syndrome and intraventricular haemorrhage
2. These are advocated to mothers at risk of preterm delivery at 24–34 weeks of gestation.
3. These can be safely administered to mothers with hypertension or diabetes.
4. These can be given even in the presence of chorioamnionitis clinically

Correct answer: 4. These can be given even in the presence of chorioamnionitis clinically